Organism implicated in Cellulitis following animal bites is
1. Staph.aureus
2. Pseudomaonas
3. Pasteurella
4. Klebsiella

Correct answer: 3. Pasteurella

Explanation: Pasteurella multocidaDistinguishing Features: small gram-negative rods; facultative anaerobic rodsReservoir: mouths of many animals, especially cats and dogsTransmission: animal bites; particularly from cat bitesPathogenesis: endotoxin, capsule; spreads rapidly within the skin, no exotoxins knownDisease: cellulitis with lymphadenitis (rapidly spreading wound infections, frequently polymicrobial infections)Diagnosis: rarely cultured because routine prophylaxis is commonTreatment: amoxicillin/clavulanate for cat bites; resistant to macrolidesPrevention: amoxicillin/clavulanate is standard prophylaxis and treatment for most bites (including human), along with a thorough cleaningOther organisms associated with animal bites:Eikenella corrodens: human bites or fist fight injuriesCapnocytophaga canimorsus: dog bite woundsBartonella henselae: Cats and dogs/ bites, scratches, fleasRef: Jawetz; 27th edition; Page no: 278